Non-Iodine containing contrast is -
1. Gd DTPA
2. Visipaque
3. Iohexanol
4. Diatrozoate

Correct answer: 1. Gd DTPA

Explanation: Gd DTPA is non iodine containing contrast agent